Earliest sign of pulmonary venus hypertension on chest radiograph is:
1. Pleural effusion
2. Kerley B lines
3. Cephalization of veins
4. Kerley a lines

Correct answer: 3. Cephalization of veins

Explanation: Ans. Cephalization of veins